Which of the following does not form a boundary of the triangle of auscultation?
1. Serratus anterior
2. Latissimus dorsi
3. Trapezius
4. Scapula

Correct answer: 1. Serratus anterior

Explanation: Boundaries of triangle of auscultation:Medially by trapeziusLaterally by scapula and rhomboid majorInferiorly by latissimus dorsiThis triangle allows lung sounds to be clearly heard at 6th intercostal space because no muscle intervenes between skin and rib cage when shoulders are pulled forward.